Nevus achromicus and Nevus anemicus can be differentiated by:
1. Hypopigmented lesions
2. Immunofluroscence
3. Diascopy
4. Huctchinson's sign

Correct answer: 3. Diascopy

Explanation: Lesions in Nevus depigmentosus will not increase in size as the borders does not merge into surrounding skin on Diascopy. (Pressing with a glass slide)
Whereas borders get merged and there will be increase in size in Nevus anemicus, on Diascopy.